All of the following cancers are linked with HIV except-
1. Kaposi sarcoma
2. Urogenital cancer
3. Non Hodgkin
4. Adult T cell keukemia

Correct answer: 4. Adult T cell keukemia

Explanation: Ans is 'd' i.e. Adult T cell leukemia o Human immunodeficiency virus associated cancerso Non-Hodgkin's lymphomao Kaposi's sarcomao Squamous cell carcinomas (especially of the urogenital tract)